Web constriction is seen in which part of esophagus, in Plummer-Vinson syndrome
1. Thoracic
2. Abdominal
3. Cervical
4. Any of the above

Correct answer: 3. Cervical

Explanation: Predominantly, it affects females past 40 years. Barium swallow shows a web in the postcricoid region and the same can be seen on oesophagoscopy. (Ref: Textbook of diseases of ENT, PL Dhingra, 7th edition, pg no. 388)